Staphylococcal infection causes all disease execept:
1. Impetigo
2. Erysipelas
3. Ecthyma
4. Scaldy Skin Syndrome

Correct answer: 2. Erysipelas

Explanation: B i.e. Erysipelas